Which of the following is true about felty's syndrome?
1. More common in males
2. Occurs in early phase of disease
3. RA, lymphopenia, splenomegaly
4. Associated with high titres of RF

Correct answer: 4. Associated with high titres of RF

Explanation: Felty's syndrome defined by the clinical triad of neutropenia, splenomegaly, and nodular RA and is seen in less than 1% of patients. It typically occurs in the late stages of severe RA and is more common in whites than other racial groups. T cell large granular lymphocyte leukemia (T-LGL) may have a similar clinical presentation and often occurs in association with RA. Ref: Harrison's Principles of Internal Medicine; 20th edition; Chapter 380 Rheumatoid Arthritis; Page no: 2138